Swimming pool conjunctivitis is caused by
1. Picorna virus
2. Chlamydia trachomatis
3. Adenovirus type 8
4. Gonococcus

Correct answer: 2. Chlamydia trachomatis

Explanation: ADULT INCLUSION CONJUNCTIVITIS Etiology : Inclusion conjunctivitis is caused by serotypes D to K of Chlamydia trachomatis. The primary source of infection is urethritis in males and cervicitis in females. The transmission of infection may occur to eyes either through contaminated fingers or more commonly through contaminated water of swimming pools (hence the name swimming pool conjunctivitis). Reference :- A K KHURANA;6th edition , page:- 68